Saltatory Conduction is
1. Action potential through myelin sheath
2. Action potential through nodes of Ranvier
3. Action potential through axon proper
4. Action potential through dentrites

Correct answer: 2. Action potential through nodes of Ranvier

Explanation: (B) Action potential through nodes of Ranvier > Jumping of depolarisation from one node of Ranvier to the next in myelinated axons is called saltatory conduction.> It is rapid process and myelinated axons conduct up to 50 times faster than the fastest unmyelinated fibres.